Percentage of renal stones which are radio opaque:
1. 10%
2. 25
3. 75%
4. 90%

Correct answer: 4. 90%

Explanation: 90% Of renal stones are radio opaque
90% of gall stones are radiolucent.